The occurence of hyperthyroidism following administration of supplemental iodine to subjects in endemic area of iodine deficiency is due to ?
1. Wolf-Chaikoff effect
2. Jod-Basedow effect
3. Pemberton effect
4. Graves effect

Correct answer: 2. Jod-Basedow effect

Explanation: Answer- B. Jod-Basedow effectSynonymous with iodine induced hyperthyroidism and may occur in patients with multinodular goitre after intake of large amount of iodine.